An 8-year-old boy, Raju, is brought to the casualty with a history of consuming something while playing outside in the playground. In the examination, there was altered sensorium, hyperpyrexia, dilated pupils.Most probable cause is -
1. Dhatura poisoning
2. Organophosphorus poisoning
3. Partheniun poisoning
4. Barbiturate poisonig

Correct answer: 1. Dhatura poisoning